The clinical effects of the antidepressant drugs is mainly based on:
1. Change in neurotransmitter receptor sensitivity
2. Decreased levels of neurotransmitters
3. Change in efficacy of neurotransmitters
4. None of the above

Correct answer: 1. Change in neurotransmitter receptor sensitivity

Explanation: Secondary to increased neurotransmitter levels by anti depressants, the receptor sensitivity changes over a course of time and that is responsible for antidepressant effect.